Cushing's phenomenon is
1. Low BP & high heart rate
2. High BP & high heart rate
3. Low BP & low heart rate
4. High BP & low heart rate

Correct answer: 4. High BP & low heart rate

Explanation: Cushing reflex tends to restore the blood flow to the medulla. Over a considerable range, the blood pressure rise is proportional to the increase in intracranial pressure. The rise in blood pressure causes a reflex decrease in heart rate the arterial baroreceptors. This is why bradycardia rather than tachycardia is characteristically seen in patients with increased intracranial pressure. Ref: Ganong's Review of medical physiology 25th edition. Page:593